Lowering of the following parameter indicates acute malnutrition:
1. Weight for age
2. Weight for height
3. Height for age
4. BMI

Correct answer: 2. Weight for height

Explanation: Low weight for height: This is also known as nutritional wasting or emaciation which is an indicator of acute malnutrition. It is associated with an increased risk of mortality and morbidity. A child who is less than 70% of the expected weight-for-height is classed as severely wasted. Ref: Park's Textbook of Preventive and Social Medicine, p019th edition, Page 434.